True about co-arctation of aorta :
1. Most common site is distal to the origin of the left subclavian artery
2. Most common age of presentation is at 15- 20years
3. Superior rib notching is due to erosion by dilated collateral vessels
4. Right ventricular hypertrophy is prominent

Correct answer: 1. Most common site is distal to the origin of the left subclavian artery

Explanation: Answer is A (Most common site is distal to the origin of left subclavian artery) The most common site of coarctation of aorta is distal to the origin of left subclavian artery. Notching occurs on Inferior surface and not on the superior surface. L. V. Hypertrophy is prominent and not RV hypertrophy. It is the L.V. which is subjected to increased afterload because of the coarctation, and therefore L.V. Hypertrophy is the prominent finding. e Most common age of presentation in coarctation of aorta is during infancy or early childhood Only about 20 percent of patients with mild disease present during adolescence and adulthood